Passavant's ridges is formed by
1. Palatopharyngeus muscle
2. Palatoglossus muscle
3. Stylopharageus muscle
4. Buccinator muscle

Correct answer: 1. Palatopharyngeus muscle